The histologic hallmark of langerhan cells is-
1. Dendritic cell processes
2. Giant mitochondria
3. Birbeck granules
4. Eosinophilic granules

Correct answer: 3. Birbeck granules